Among patients with polymyositis, which one of the following auto-antibodies is associated with an increased risk of interstitial lung disease?
1. Anti-CCP antibody
2. Anti ds DNA antibody
3. Anti cardiolipin antibody
4. Anti-Jo-1 antibody

Correct answer: 4. Anti-Jo-1 antibody

Explanation: Myositis Specific Antibodies Anti Jo-1 and anti synthetase antibodies Polymyositis and dermatomyositis with Interstitial lung disease, arthritis, mechanic's hands Anti-Mi-2 Dermatomyositis with rash Anti MDAS Dermatomyositis with rapidly progressive lung disease Anti-10 Juvenile dermatomyositis Anti-Signal recognition particle Severe acute necrotizing myopathy